Which of the following is not true regarding in- flammatory arthritis -
1. Presence of morning stiffness
2. Sclerosis on X-ray
3. Anemia of chronic disease
4. Presence of fever, weight loss and elevated ESR

Correct answer: 2. Sclerosis on X-ray

Explanation: Ans. is 'b' i.e., Sclerosis on X ray* Inflammatory arthritis refers to those conditions of the joints that involve the immune system and cause inflammation. Inflammatory arthritis are :-# RA# Reiter's syndrome# Gout & Pseudogout# Reactive arthritis# Ankylosing spondylitis# Psoriatic arthritis# Lupus arthritis Features of inflammatory arthritisa) Presence of some or all four cardinal signs of inflammation.i) Erythemaii) Painiii) Warmthiv) Swellingb) Systemic symptomsi) Prolonged morning stiffness, often lasting for several hours. (Non inflammatory arthritis are associated with intermittent stiffness, Stiffness usually lasts less than 1 hr).ii) Fatigueiii) Feveriv) Weight Lossc) Laboratory evidence of inflammationi) Elevated ESRii) Elevated C reactive proteiniii) Thrombocytosisiv) Anemia of chronic disease.d) X-ray.* X-ray feature of inflammatory arthritis shows rarefaction while x-ray features in non-inflammatory arthritis reveals sclerosis.